Alt of the following drugs are used for prevention and treatment of PPH except
1. Misoprostol
2. Oxytocin
3. Ergometrine
4. Mifepristone

Correct answer: 4. Mifepristone

Explanation: Mifepristone is an antiprogesterone,which is used for medicak termination of pregnancy.It is also being researched for use in term pregnancies at a dose of 200mg.It is recommended for use in intrauterine fetal demise at a dose of 600mg daily for 2 days.Other given options are used for the treatment of PPH. Refer page no 560 og Text book of obstetrics ,sheila balakrishnan,2 nd edition.